Dripping Candle Wax lesion on spine ?
1. Metastasis
2. TB spine
3. Osteopterosis
4. Melorheostosis

Correct answer: 4. Melorheostosis

Explanation: Ans. is 'd' i.e., Melorheostosis Melorheostosis Melorheostosis is a medical developmental disorder and mesenchymal dysplasia in which the bony cortex widens and becomes hyperdense in a sclerotomal distribution. Caused by a mutation of the LEMD3gene. Can be detected by radiograph due to thickening of bony cortex resembling "dripping candle wax". Disorder tends to be unilateral and monoostotic, with only one limb typically involved. Cases with involvement of multiple limbs, ribs, and bones in the spine have also been reported. There are no reported cases of involvement of skull or facial bones. Melorheostosis can be associated with pain, physical deformity, skin and circulation problems, contractures, and functional limitation. It is also associated with a benign inner ear dysplasia known as osteosclerosis.